The insulin indicated in diabetic ketoacidosis is:
1. Lento insulin s.c.
2. Solubile insulin s.c.
3. Protamin zinc insulin i.m.
4. Soluble insulin I.V. infusion

Correct answer: 4. Soluble insulin I.V. infusion